Stiffness is related to?
1. Resistance to elastic deformation
2. Degree of elastic deformation
3. Resistance to plastic deformation
4. Degree of plastic deformation

Correct answer: 1. Resistance to elastic deformation